Which is not true regarding superantigen?
1. Bind T cells irrespective of antigen specificity of TCR
2. Bind directly to both MHC II and T cell receptor causing T cell activation
3. Bind to cleft (antigen binding groove) in the MHC II molecule
4. Binds directly to lateral aspect of T cell receptor

Correct answer: 3. Bind to cleft (antigen binding groove) in the MHC II molecule